In direct filling gold, failure usually occurs due to?
1. Compressive stress
2. Tensile stress
3. Shear stress
4. All of the above

Correct answer: 2. Tensile stress

Explanation: Transverse (bending) strength reflects three types of stresses: compressive, tensile, and shear. In direct filling golds, the failure usually occurs from tensile stress because of incomplete cohesion. Bending strength represents an indirect indicator of cohesive strength. Hardness indicates the overall quality of compacted gold.
Ref: Phillips 12th edition. page 415